A man presents with weakness, pain in upper

abdomen, hyperpigmentation, arthritis,

hyperglycemia and enlarged palpable liver. Most

probable diagnosis is -
1. Haemochromatosis
2. Addison's disease
3. Insulin dependent diabetes mellitus
4. Cushing's syndrome

Correct answer: 1. Haemochromatosis

Explanation: Hemochromatosis is a condition in which amount of total body iron increases. Excessive iron causes damage to several organs. Fatigue and arthropathy are early symptoms. Leaden Gray skin pigmentatìn, hepatomegaly, arthritis, diabetes mellitus, cardiac failure are also present.